All of the following are true for Kyasanur Forest Disease except:
1. Caused by Arbovirus
2. Transmitted by bite of infective ticks
3. Incubation period of 1 week
4. Man to man transmission is seen

Correct answer: 4. Man to man transmission is seen

Explanation: Ans: D i.e. Man to man transmission is seen Kyasanur forest disease/KFD It is a febrile disease associated with haemorrhages caused by an arbovirus flavivirus and transmitted to man by bite of infective ticks Incubation period is estimated to be between 3 and 8 days There is no evidence of man to man transmission.